The 'V' principle of growth is best illustrated by the
1. Body of Mandible
2. Mandibular ramus
3. Mandibular syrnphysis
4. Spheno-occipital synchondrosis

Correct answer: 2. Mandibular ramus